Nerve carrying motor component of light reflex-
1. 1st nerve
2. 2nd nerve
3. 3rd nerve
4. 4th nerve

Correct answer: 3. 3rd nerve

Explanation: Efferent pathway consists of parasympathetic fibres which arise from the Edinger -Westphal nucleus in the midbrain and travel along the third cranial nerve .i.e, occulomotor nerve. Refer comprehensive ophthalmology (6th edition )A K Khurana, page no 315